Investigation of choice in hirschsprug's disease is ?
1. Rectal manometry
2. Rectal examination
3. Rectal biopsy
4. Bart enema

Correct answer: 3. Rectal biopsy

Explanation: Answer 'c' i.e. Rectal biopsy Definitive diagnosis is made by rectal biopsy. The histopathology of Hirschprung's disease is the absence of ganglion cells in the nerve plexus, presence of hypertrophied nerve bundles and increased acetylcholinesterase-positive nerve fibres.